Which of the following is False about Pentazocine ?
1. Decreased vomiting and constipation as compared to morphine
2. Risk of addiction is less than that with morphine
3. Risk of addiction is more than that with morphine
4. It is agonist antagonist

Correct answer: 3. Risk of addiction is more than that with morphine

Explanation: Ans. is 'c' i.e., Risk of addiction is more than that with morphine Pentazocine is agonist-antagonist with weak antagonistic and marked x agonistic action. Its profile of action is similar to morphine with the following difference : Analgesia is lower in efficacy than morphine and is different in character being mostly spinal (c1) Cardiac work is increased : It causes tachycardia & rise in BPdue to sympathetic stimulation and is better avoided in Coronary ischemia and Myocardial infarction. Sedation and respiratory depression is less than morphine. Vomiting is less frequent. Biliary spasm and constipation are less severe. Subjective effects are pleasurable and abuse liability is present although it is lower than that with morphine.